Incessant sexual desire in males:
1. Satyriasis
2. Nymphomania
3. Vaginismus
4. Quoad hoc

Correct answer: 1. Satyriasis

Explanation: Ans. (a) SatyriasisRef: The essentials of FSM by KS Narayan Reddy 31st ed./ 357* SATYRIASIS: Excessive sexual desire in males* Nymphomania: Excessive sexual desire in females* Vaginismus is one of the causes of female sterilization. It is spasmodic contraction of vagina due to hyperaesthesia.* Quoad hoc: Individual impotent with one particular women, but NOT with others.